Microlaryngoscopy was started by
1. Bruce Benjamin
2. Kleinsasser
3. Chevlier Jackson
4. None of the above

Correct answer: 2. Kleinsasser

Explanation: Ans. b (Kleinsasser). (Textbook of ENT by Maqbool, 7th ed., 407)# Microlaryngoscopy = Kleinsasser# Tracheostomy tube = Chevlier Jackson# Bronchoscope = Negus, Jackson